The adjuvant used in IL PT vaccine is -
1. Al
2. Mg
3. Zn
4. Formaldehyde

Correct answer: 1. Al